Suprascapular artery arises from which of the following branches of subclavian artery?
1. Internal thoracic artery
2. Thyrocervical trunk
3. Costocervical trunk
4. Dorsal scapular artery

Correct answer: 2. Thyrocervical trunk

Explanation: Suprascapular artery is a branch of the thyrocervical trunk. It supplies the supraspinatus and infraspinatus muscles and the shoulder and acromioclavicular joints. The right subclavian artery arises from the brachiocephalic trunk and left subclavian artery originates directly from the arch of aorta. The five main branches of subclavian artery are:Vertebral arteryInternal mammary (thoracic) arteryThyrocervical trunkCostocervical trunkDorsal scapular arteryRef: BRS Gross Anatomy By Kyung Won Chung, page 53.